Mechanism of action of sildenafil is
1. Inhibits PDE 2
2. Inhibits PDE 4
3. Inhibits PDE 5
4. Inhibits PDE 3

Correct answer: 3. Inhibits PDE 5

Explanation: Ans. is 'c' i.e., Inhibits PDE 5 * Sildenafil (Viagra) acts to increase cGMP by inhibiting its breakdown by phosphodiesterase isoform 5 (PDE-5).